Oral therapy of choice in MRSA skin infection is
1. Dicloxacillin
2. Clindamycin
3. Quinupristin
4. Dalfopristin

Correct answer: 2. Clindamycin

Explanation: Ans. is 'b' i.e., Clindamycin